In 'Down's syndrome' the shape of the head is –
1. Oxycephalic
2. Scaphocephalic
3. Brachicephalic
4. Plagiocephalic

Correct answer: 3. Brachicephalic